Cold agglutinin disease can be associated with all of the following, except:
1. Mycoplasma pneumoniae infection
2. Waldenstrom macroglobulinemia
3. SLE
4. EBV infection

Correct answer: 3. SLE

Explanation: Warm Antibody Type hemolytic anemia is seen in SLE. Cold agglutinin disease (CAD)/Cold hemagglutinin disease (CHAD): Caused by IgM antibodies that bind to red cells avidly at low temperatures (0degC to 4degC) Cold agglutinin antibodies appear transiently following certain infections, such as with Mycoplasma pneumoniae, Epstein-Barr virus, cytomegalovirus, influenza virus, and human immunodeficiency virus (HIV). Chronic cold agglutinin immunohemolytic anemia occurs in association with certain B-cell neoplasms (Waldenstrom macroglobulinemia/lymphoplasmacytic lymphoma) or as an idiopathic condition.